The Haversian system is found in -
1. Diaphysis of long bones
2. Cancellous bone
3. Epiphysis
4. Spongy bones of children

Correct answer: 1. Diaphysis of long bones

Explanation: Shaft (diaphysis) of a long bone is made up of cortical (compact) bone which consists of Haversian system.